Which of the following is the most common initial site of metastasis from a primary BCC?
1. Lungs
2. Regional lymph nodes
3. Bone
4. Liver

Correct answer: 2. Regional lymph nodes

Explanation: Ans. B. Regional lymph nodesThe metastatic potential of BCC is very low with rates ranging from 0.0028to0.1%, The head and neck region is the most frequent location of the primary tumor with regional lymph nodes being the most common site of metastasis. The lungs, bone, liver, and pleural are also potential sites of metastasis